Nuchal translucency is measured between
1. 8 to 10 weeks
2. 11 to 14 weeks
3. 16 to 18weeks
4. 18 to 20weeks

Correct answer: 2. 11 to 14 weeks

Explanation: Nuchal translucency represents the maximum thickness of the subcutaneous translucent area between the skin and soft tissue overlying the fetal spine at the back of the neck. It is measured in the sagittal plane between 11 and 14 weeks using precise criteria. Increased NT is seen inChromosomal abnormalitiesGenetic SyndromesCardiac anomaliesSkeletal deformities(Ref: William's Obstetrics; 25th edition)